The antiepileptic drug which does not produce enzyme induction is :
1. Phenobarbitone
2. Sodium valproate
3. Phenytoin sodium
4. Carbamazepine

Correct answer: 2. Sodium valproate